All are true about antemortem contusion except -
1. Sequential color change
2. No Inflammation
3. Raized enzyme levels
4. Blood cells in surrounding tissue

Correct answer: 2. No Inflammation

Explanation: The synopsis for forensic medicine & toxicology ,Dr k.s.narayan reddy ,28th edition ; Pg no . 108 ; In antemortem bruising ,there is swelling ,damage to epithelium ,extravasation ,coagulation & infiltration of tissue with blood & colour changes .these points are absent in postmortem bruises . Hence it is seen that there will b swelling & inflammation in antemortem bruises.No inflammation in antemortem bruise is a wrong statement .